Administration of which antiepileptic drug is associated with development of hyperldnesia in children:
1. Phenytoin sodium
2. Sodium valproate
3. Carbamazepine
4. Phenobarbitone

Correct answer: 4. Phenobarbitone